Maximum working hours duration including overtime for a person working in a factory, as per The factory act' 1948 is:
1. 100
2. 60
3. 48
4. 72

Correct answer: 2. 60

Explanation: As per the Factory act 1948, The total number of hours including overtime should not exceed 60 hours/week. 9 hours/day and 48 hours/week are prescribed under The Factories Act, 1948. The Factories Act, 1948 The Act prohibits employment of children below the age of 14 years 15 and 18 years are declared to be adolescents abd. allowed to work only between 6 A.M. & 7 PM.